Most frequent chromosomal abnormality found in those with heart defect
1. Trisomy 13
2. Trisomy 21
3. Trisomy 18
4. Monosomy X

Correct answer: 2. Trisomy 21

Explanation: Trisomy 21 >> Trisomy 18 >> 22q Microdeletion >> Trisomy 13 >> monosomy X.
This is order of occurrence of heart defect most commonly and frequently.